The most common site of hypertensive intracranial hemorrhage is -
1. Putamen
2. Medulla
3. Midbrain
4. Cerebrum

Correct answer: 1. Putamen

Explanation: Spontaneous intracerebral haemorrhage occurs mostly in patients of hypertension. Most hypertensives over middle age have microaneurysms in very small cerebral arteries in the brain tissue. Rupture of one of the numerous microaneurysms is believed to be the cause of intracerebral haemorrhage. Unlike subarachnoid haemorrhage, it is not common to have recurrent intracerebral haemorrhages. The common sites of hypertensive intracerebral haemor- rhage are the region of the basal ganglia (particularly the putamen and the internal capsule), pons and the cerebellar cortex Ref: TEXTBOOK OF PATHOLOGY 6th EDITION - HARSH MOHAN PAGE NO:881